While dispatching blood and urine for chemical analysis, sodium fluoride is added as preservative in the following concentration -
1. 30 mg/10 ml
2. 40 mg/10 ml
3. 50 mg/ ml
4. 100 mg/10 ml

Correct answer: 4. 100 mg/10 ml

Explanation: 10 mg/ml of Na-fluride (i.e. 100 mg/10 ml) is used with 3 mg of potassium oxalate for preserving blood.